Which imaging modality can help to study CSF dynamics?
1. MR CSF flowmetry
2. Trans cranial ultrasound doppler
3. CT ventriculography
4. PET scan

Correct answer: 1. MR CSF flowmetry

Explanation: Ans AMRI CSF flowmetry is a novel imaging technique which works on the principle that CSF is a slow flowing fluid which is influenced by the pulsations transmitted by adjacent arteries. Using this method it is possible to determine the CSF flow rate as well as classify them communicating or non communicating